Neocerebellum is concerned with which of the following functions?
1. Eye movements
2. Motor planning
3. Equilibrium
4. Motor execution

Correct answer: 2. Motor planning

Explanation: Lateral portion of cerebellar hemisphere is called cerebrocerebellum or neocerebellum. It interacts with the motor cortex in planning and programming movements. Lesion of the neocerebellum results in: Ataxia of extremities, asynergy Dysmetria Dysdiadochokinesia Intentional tremor Rebound phenomenon Lesion of archicerebellum result in: Loss of equilibrium Nystagmus Lesion of Paleocerebellum result in: Truncal ataxia and drunken gait Ref: Review of Medical Physiology by William F Ganong, 22nd Edition, Page 221